Consultation - liaison (C-L) psychiatry involves diagnosing
1. Psychiatric illness in medically ill
2. Medical illness in psychiatric patients
3. Sucidal tendency in psychiatric patients
4. Sucidal tendency in medically ill

Correct answer: 1. Psychiatric illness in medically ill

Explanation: A i.e. Psychiatric illness in medically ill Consultation-Liaison (C-L) psychiatry involves the study of psychosocial aspect of medical care and the detection and treatment of psychiatric disorders in the medically UK